Allosteric activator of PFK
1. Fructose 1-6 biphosphate
2. Fructose 2-6 biphosphate
3. Phosphoenolpyruvate
4. Pyruvate

Correct answer: 2. Fructose 2-6 biphosphate

Explanation: Step 3 of Glycolysis, Fructose-6-phosphate is further phosphorylated to fructose1,6-bisphosphate. The enzyme is phosphofructokinase. PFK is an allosteric, inducible, regulatory enzyme. It is an important key enzyme of this pathway. This is again an activation process, the energy being derived by hydrolysis of yet another molecule of ATP. This irreversible step is the rate-limiting reaction in glycolysis. However, during gluconeogenesis, this step is circumvented by fructose-1,6-bisphosphatase. of PFK: -insulin, AMP, F-6-P, F-2,6-BP.Ref: DM Vasudevan, 7th edition, page no: 112